Transfer of DNA from one bacterium to other by a bacteriophage is known as
1. Formation
2. Conjugation
3. Transduction
4. Transcription

Correct answer: 3. Transduction

Explanation: Ans. c (Transduction). (Ref. Textbook of Microbiology by Anantanarayan, 6th/53)TRANSMISSION OF GENETIC MATERIAL IN BACTERIA IS BY:# Transformation:- Transfer of genetic information through agency of free DNA.# Transduction:- Transfer of a portion of DNA from one bacteria to another by transduction phase.- It is not confined to transfer of chromosomal DNA.- It transduces epizomes & plasmids also.- B'phages are viruses that parasitise bacteria & consist of nucleic acid core & a protein coat.- It is excellent tool for gene mapping of bacteria.# Lysogenic conversion:- Phage DNA becomes integrated with bacterial chromosome as prophage, which multiplies synchronously with host DNA & is transferred to daughter cells. This is lysogeny & bacteria harbouring prophages are lysogenic bacteria.- In transduction phage acts as vehicle carrying bacteria genes from one cell to another but in lysogenic conversion phage DNA itself is new genetic element.# Conjugation:- Process where by 'male' or 'donor' bacterial mates or makes physical contact with female or recipient bacteria & transfer genetic element into it.# Sexduction:- Process of transfer of host genes through F factor resembles transduction known as sexduction.